All of the following is true regarding HIV virus except:
1. Belongs to the subgroup lentivirus
2. Double stranded DNA virus
3. Characterised by the presence of reverse transcriptase enzyme
4. Acts on CD4 cells

Correct answer: 2. Double stranded DNA virus

Explanation: Ans. B: Double stranded DNA virus HIV belongs to the lentivirus subgroup of the family retroviridae. HIV is a spherical, enveloped virus. The genome is diploid, composed of two identical single-stranded, positive sense RNA copies. The human immunodeficiency virus (HIV) like many other viruses, stores its genetic information as RNA rather than as DNA (most other living things use DNA). In association with viral RNA is the reverse transcriptase enzyme which is a characteristic feature of retroviruses. When HIV enters a human cell, it releases its RNA, and an enzyme called reverse transcriptase makes a DNA copy of the HIV RNA. The resulting HIV DNA is integrated into the infected cell's DNA. This process is the reverse of that used by human cells, which make an RNA copy of DNA. Thus, HIV is called a retrovirus, referring to the reversed (backward) process. Other RNA viruses (such as polio, influenza, or measles), unlike retroviruses, do not make DNA copies after they invade cells. They simply make RNA copies of their original RNA. Some types of white blood cells called CD4+ lymphocytes HIV is highly mutable virus, unlike HTLV.